Brain dead patient comes under which category in ASA classification?
1. ASA I
2. ASA 3
3. ASA 4
4. ASA 6

Correct answer: 4. ASA 6

Explanation: Ans. is'd'i.e., ASA 6(Ref: Millers anesthesia 8th/e p. 1144)Brain dead patient is ASA grade-6.